A 65 years old smoker presents with chronic cough, hemoptysis and loss of weight. X ray chest shows cavitatory lesion. The most appropriate diagnosis is
1. Undifferentiated large cell carcinoma
2. Small cell carcinoma
3. Adeno carcinoma
4. Squamous cell carcinoma

Correct answer: 4. Squamous cell carcinoma

Explanation: . Squamous cell carcinoma